A 35-year-old patient on USG shows 3 x 4 cm clear ovarian cyst on right side. Next line of management is;
1. Laparoscopy
2. OC pUls
3. Wait and watch
4. Ca-125 estimation

Correct answer: 3. Wait and watch

Explanation: A simple unilocular cyst measuring less than 5 cm can be observed with repeat ultrasound and CA-125 every 3 months.Many resolve in 6 months.A persistant cyst calls for its removal laparoscopically or by laparotomy.Aspiration of the cyst is contraindicated because of low yield of malignant cells and possibility of spread of malignancy if the cyst proves malignant histologically.Many perform bilateral oophorectomy and hysterectomy. SHAW'S TEXTBOOKOF GYNECOLOGY,Pg no:388,15th edition